Greater petrosal nerve is formed from:
1. Geniculate ganglion
2. Plexus around ICA
3. Plexus around middle meningeal artery
4. None of the above

Correct answer: 1. Geniculate ganglion

Explanation: Greater petrosal nerve is a branch of facial nerve, given at geniculate ganglion. Geniculate ganglion has sensory and secretomotor neurons, whose axons travel by greater petrosal nerve. Sympathetic fibers from the superior cervical ganglion form plexus around the internal carotid artery to contribute to Deep petrosal nerve and around middle meningeal artery to reach the otic ganglion.